Which of the following structures is fixed first during reimplantation of an amputated digit:
1. Bone
2. Artery
3. Vein
4. Nerve

Correct answer: 1. Bone

Explanation: Bone is the first structure to be fixed during reimplantation of an amputated digit. Ref: Trauma, by Charles M. Court Brown, Margaret M, Page 483.